The Epworth scale is used for assessing -
1. Body mass index
2. Vital capacity in post-operative patients
3. Sleep apnea
4. Risk of embolism in perioperative patient

Correct answer: 3. Sleep apnea

Explanation: Answer- C. Sleep apneaThe Epworth Sleepiness Scale-Obstructive sleep apneaNarcolepsyIdiopathic hypersomnia